Length of stab gives information about-
1. Length of blade
2. Width of blade
3. Angle of insertion
4. Thickness of the blade

Correct answer: 2. Width of blade

Explanation: Ans. is 'b' i.e., Width of blade o Length of the stab wounds is slightly less than the width of the weapon upto wrhich it has been driven inside,o Deliberate lateral, forward or backward movement of the weapon during its withdrawal from the body tends to widen the wound, and the length will be more than the actual width of the blade.